Bull's eye lesions are clinically seen in:
1. Lingually impacted 3rd molar.
2. Erythema multiformae.
3. Taurodontism
4. None of the above

Correct answer: 2. Erythema multiformae.